Most common site of affection of herpes simplex –
1. Thorax
2. Abdomen
3. Face
4. Extremities

Correct answer: 3. Face

Explanation: Most common type of herpes infection is herpes labialis (involvement of face around mouth) → caused by HSV-1.